The weight of term uterus is
1. 500 grams
2. 1000 grams
3. 1500 grams
4. 2000 grams

Correct answer: 2. 1000 grams

Explanation: Non pregnant state of uterus Weight - 60g Length - 7.5 cm Capacity - 5-10 ml Pregnant uterus Weight - 900-1000g Length - 35 cm Capacity - increased to 500-1000 times Ref: Dutta Obs 9e pg 42.